Spoke wheel calcification in an osteolytic lesion is seen in
1. Hemangioma
2. Secondaries
3. Plasmacytosis
4. Hydatid disease

Correct answer: 1. Hemangioma

Explanation: Radiological findings in intraosseous hemangioma are : Prominent trabecular pattern Better visualization of thickened vertical trabeculation: polka-dot appearance on axial images and corduroy sign on coronal and sagittal images. Lytic calvarial lesions with spoke-wheel appearance Irregular and lytic in long bones, with a honeycomb appearance